In coarctation of aorta, the side of rib notching is
1. Superior to rib
2. Inferior to rib
3. At sternum
4. At vertebra

Correct answer: 2. Inferior to rib

Explanation: Rib notching is unusual in infancy but becomes more frequent with increased age; it is present in 75% of adults with coarctation. Rib notching occurs along the inferior margin of the third to the eighth ribs; it is caused by pulsation of dilated intercostal arteries. Ref Davidson 23rd edition pg 443